Design of the study aimed to assess the maximum tolerable dose of a new drug is best described as:
1. Case Control study
2. Phase I trial
3. Phase II Randomized control trial (RCT)
4. Phase III Randomized control trial (RCT)

Correct answer: 2. Phase I trial

Explanation: The phases of clinical research are the steps in which scientists do experiments with a health intervention in an attempt to find enough evidence for a process which would be useful as a medical treatment. In the case of pharmaceutical study, the phases start with drug design and drug discovery then proceed on to animal testing.
If this is successful, they begin the clinical phase of development by testing for safety in a few human subjects and expand to test in many study participants to determine if the treatment is effective.